Classification of aortic dissection depends upon
1. Cause of dissection
2. Level of aorta affected
3. Percentage of aorta affected
4. None

Correct answer: 2. Level of aorta affected

Explanation: Aortic dissection occurs when blood splays apart the laminarplanes of the media to form a blood-filled channel within theaortic wall.The clinical manifestations of dissection depend primarily on the portion of the aorta affected; the most serious complicationsoccur with dissections involving the proximalaorta and arch.Thus, aortic dissections generally are classified into two types-Proximal lesions: type A dissections, Distal lesions,type B dissectionsRobbins Basic pathology,9th edition,pg no.347